Which of the following parasitic infestation leads to malabsorption?
1. Giardia lambia
2. Ascaris lumbricoides
3. Necater Americana
4. Ancylostoma duodenale

Correct answer: 1. Giardia lambia

Explanation: Giardia lamblia is associated with malabsorption. Giardia lamblia is an intestinal flagellate protozoan parasite. Its life cycle consists of two stages: trophozoite and the cyst. It is transmitted through the ingestion of cyst in fecally contaminated food and water. In the duodenum trophozoite is formed and it attaches to the gut wall. This intern causes inflammation of the duodenal mucosa, leading to malabsorption of protein and fat. IgA deficiency greatly predisposes to symptomatic infection. Ref: Review of Medical Microbiology and Immunology By Warren Levinson, 11th Edition, Chapter 51